All are true about septic arthritis except -
1. Staph aureus is the most common cause
2. Most common cause is E. coli
3. Common in children
4. Affects growth plate

Correct answer: 2. Most common cause is E. coli

Explanation: Ans. is 'b' i.e., Most common cause is E. coliSeptic arthritis (Acute suppurative arthritis)Septic arthritis refers to pyogenic infection of a joint, i.e., infection of a joint by pyogenic organism (bacteria).The microbial spectrum is diverse in suppurative arthritis, but staphylococcus aureus infection is most common.The joint can become infected by : -Hematogenous spread from a distant site (most common route).Direct invasion through a penetrating wound, intra articular injection, arthroscopy.Direct spread from adjacent osteomyelitis especially in joints where Metaphysis is intra articular e.g., hip and shoulder.Clinical featuresDisease is more common in children.Knee joint is the most commonly affected joint.Other joint which are affected are hip, shoulder and elbow.The child is toxic with fever, tachycardia, tachypnea.There is severe pain, swelling, and redness over the joint. Movements are severely restricted and the joint is held in the position of ease.Weight bearing on limb is not possible.Diagnosis:Aspirated synovial fluid in septic arthritis will have markedly increased polymorphonuclear leukocytes